Mutation in NPHS1 gene causes which disease?
1. Alport syndrome
2. Congenital Finnish type nephrotic syndrome
3. Focal segmental glomerulosclerosis
4. Nail patella syndrome

Correct answer: 2. Congenital Finnish type nephrotic syndrome

Explanation: Ans. (b) Congenital Finnish type nephrotic syndrome(Ref: Nelson 19 th ed pg 1803)Mutation in NPHS1 gene causes Congenital Finnish type nephrotic syndrome